Result of a test were given as very satisfied, satisfied, dissatisfied, it represents-
1. Nominal scale
2. Ordinal scale
3. Interval scale
4. Ratio scale

Correct answer: 2. Ordinal scale